Multiple pulp stones are seen in:
1. Ehlers Danlos syndrome
2. SLE
3. DLE
4. All of the above

Correct answer: 1. Ehlers Danlos syndrome

Explanation: Multiple pulp stones are seen in Ehlers Danlos syndrome.
Oral  Manifestations of Ehlers-Danlos syndrome (EDS): The colour of oral mucosa is normal, but excessively fragile and bruises easily. Healing is only slightly retarded and there is no defective scar formation. No remarkable hyperextensibility of mucous membrane is present. The gingival tissues appear fragile and bleed after tooth brushing. 
Gingival hyperplasia and fibrous nodules may be present. Hypermobility of the temporomandibular joint resulting in repeated dislocations of the jaw has been reported. 
Alterations in the structure of the teeth have also been reported and these consist of a lack of normal scalloping of the dentino-enamel junction, the passage of many dentinal tubules into the enamel, the formation of much irregular dentin, and an increased tendency to form pulp stones. Hypoplastic changes in the enamel have also been reported and the teeth have been reported to be fragile and have a tendency for fracture. 
Several families have also been reported with apparent Ehlers-Danlos syndrome with extensive periodontal destruction.
Reference: Shafer’s Textbook of ORAL PATHOLOGY Eighth Edition page no 541,542